If retromolar pad and tuberosity contact, what should be done?
1. Surgical reduction of tuberosity
2. Do not extend dentures to retromolar area
3. Denture fabrication not possible
4. Has no effect on denture

Correct answer: 1. Surgical reduction of tuberosity